Transfer of genetic material in between bacteria through pili is termed as:
1. Transduction
2. Conjugation
3. Transformation
4. Transfection

Correct answer: 2. Conjugation

Explanation: Ref: Textbook of Microbiology, 8th edition, Ananthna rnyan and Paniker, Pages 63-65Explanation:TYPES OF GENE TRANSFERConjugation: Conjugation is a process of genetic transfer between bacterial cells wherein, a 'donor' bacterium, which contains a plasmid coding for a specialized fimbria called sex pi I us (conjugation tube), makes physical contact with a 'recipient' bacterium and transfers genetic elements into it.Transduction'. It is a process of genetic transfer between bacterial cells by a bacteriophage.Transformation: It is a process of genetic transfer through the agency of free DNA.Transfection: The infection of a bacterium by naked phage nucleic acid. (See figure in the next coloum)